A diabetic patient presents with fungal infection of sinuses and peri-orbital region with significant visual impairment. The best drug for treatment of this patient is:
1. Amphotericin B
2. Itraconazole
3. Ketoconazole
4. Broad spectrum antibiotics

Correct answer: 1. Amphotericin B

Explanation: Ans. (A) Amphotericin B(Ref: Harrison 18th/1663)The diagnosis is rhinocerebral mucormycosis.Mucormycosis typically occurs in patients with diabetes mellitus, solid organ or hematopoietic stem cell transplantation (HSCT), prolonged neutropenia, or malignancyAmphotericin B deoxycholate remains the only licensed antifungal agent for the treatment of mucormycosis. However, lipid formulations of AMB are significantly less nephrotoxic, can be administered at higher doses, and may be more efficacious than AMB deoxycholate for this purpose.